Normal plasma osmolality is
1. 285-300 milliosmo/kg
2. 310-340 milliosmo/kg
3. 200-240 milliosmo/kg
4. 160-180 milliosmo/kg

Correct answer: 1. 285-300 milliosmo/kg

Explanation: The normal value of plasma osmolality is 285-300 mosm/kg.Osmolality is measured with an osmometer based on the depression of the freezing point of the sample.Patients with deficiency of ADH (Central diabetes insipidus) or a decreased response to ADH (Nephrogenic diabetes insipidus) will excrete urine with osmolality less than 300 mosmols/kg.Ref: D M Vasudevan 7th edition Page no: 373